Diabetes inspidus is due to hyposecretion of which hormone:
1. Insulin
2. Arginine VasoPressin/ AVP
3. Angiotensin
4. Aldosterone

Correct answer: 2. Arginine VasoPressin/ AVP

Explanation: Ans. B i.e. Arginine VasoPressin DOC for diabetes insipidus: Desmopressin (intranasally) DOC for SIADH: Demeclocycline